Which is the first site of rigor mortis?
1. Fingers
2. Toes
3. Myocardium
4. Eyelids

Correct answer: 3. Myocardium

Explanation: Myocardium is the first site of rigor mortis. Eyelids are the first visible site of rigor mortis.